The antianginal effect of propranolol may be attributed to which of the following ?
1. Block of exercise induced tachycardia
2. Dilation of constricted coronary vessels
3. Increased cardiac force
4. Increased resting heart rate

Correct answer: 1. Block of exercise induced tachycardia